Na/K pump which enzyme is used -
1. ATPase
2. GTPase
3. Acetyl CoA
4. None of these

Correct answer: 1. ATPase

Explanation: Sodium-potassium pump is the most important pump for primary active transport Q in the body.
Na + -K + pump is an electrogenic pump Q that is responsible for maintaining the Na + and K + concentration difference across the cell membrane.
Na + - K + pump extrudes 3 Na + out from the cell and at the same time pump 2K + into the cell Q , i.e., Coupling ratio of Na + K + pump is 3 : 2 Q . Na + and K + transport by Na + - K + pump is primary active transport Q and both Na + and K + are transported against concentration gradient Q
(intracellular fluid has high concentration of K + and ECF has high concentration of Na - ).
Na + K + pump uses energy by hydrolysing ATP; this pump contains ATPase activity Q.

Na + - K + pump is a carrier protein which is a heterodimer 0 made up of two separate globular proteins: a larger one called α-subunit with a molecular weight of 100,000 and a smaller one called β-subunit, with a molecular weight of about 55,000. Both α- and β- subunits span across the membrane with intracellular and extracellular sites. 
Na + and K + transport occurs through a-subunits.

Intracellular portion of a-subunit has three Na + binding sites (three receptor sites for Na + ), an ATP binding site, a phosphorylating site and ATPase activity Q.
Extracellular portion Q has two K + binding sites (two receptor sites for K + ), and an ouabain binding site Q.
The β- subunit has three extracellular glycosylation sites Q, all of which appear to have attached carbohydrate residue.

The Na + - K + pump is an electrogenic pump Q since it produces a net movement of positive charge out of the cell.

Thus, besides maintaining the ionic composition of the intracellular fluid, the Na + - K + pump helps to maintain the electrochemical potential difference across the cell membrane.
However, Na + - K + pump contributes only 4 millivolts to the total resting membrane potential of 90 volts which is almost negligible Q.

Active transport of Na+ and K+ - is one of the major energy-using processes in the body.

On average, it accounts for about 24% of the energy utilized by cell and in neurons, it accounts for 70%. o Activity of Na+ - K+ pump is stimulated by the increased intracellular concentration of Na +,
thyroid hormones, aldosterone and insulin. Pump activity is inhibited by CHF, CRF, digoxin toxicity and dopamine.